Which of the following disease is X- linked?
1. Thalassemia
2. Color blindness
3. Sickle cell anemia
4. Galactosemia

Correct answer: 2. Color blindness

Explanation: Ans. (b) Color blindness(Ref: Robbins 9th ed and NCERT)The most common cause of color blindness is an inherited fault in the development of one or more of the three sets of color sensing cones in the eye. Males are more likely to be color blind than females, as the gene responsible for the most common forms of color blindness are on the X chromosome.